Simple bone cyst is most commonly seen in -
1. Proximal humerus
2. Proximal tibia
3. Distal tibia
4. Distal humerus

Correct answer: 1. Proximal humerus

Explanation: Ans. is 'a' i.e., Proximal humerus Simple Bone Cyst* This lesion is also known as a solitary cyst or unicameral bone cyst.* It appears during childhood, typically in the metaphysis of one of the long bones and most commonly in the proximal humerus or femur.* It is not a tumor, it tends to heal spontaneously and it is seldom seen in adults. The condition is usually discovered after a pathological fracture or as an incidental finding on x-ray.* X-rays show a well-demarcated radiolucent area in the metaphysis, often extending up to the physeal plate; the cortex may be thinned and the bone expanded. Fallen fragment sign is seen if pathological fracture develops. After pathological fracture a cortical fragment is seen in the most dependent portion of cyst, like a fallen fragment.